Effect of cocaine on blood vessels is?
1. Vasoconstrictor
2. Vasodilator
3. Vasoineffective
4. First constrict then dilates

Correct answer: 1. Vasoconstrictor

Explanation: ANSWER: (A) VasoconstrictorREF: KDT 4th e p. 166Effect of local anesthetic on blood vessels is:VasoconstrictorVasoineffectiveVasodilatorCocaineLignocaineOthers